Light House sign is seen in:
1. Acute Suppurative Otitis media
2. Otosclerosis
3. Acute mastoiditis
4. Meniere’s disease

Correct answer: 1. Acute Suppurative Otitis media

Explanation: Active pulsatile discharge seen on otoscopy showing intermittent reflection of light (comparable to Light House) in ASOM.